Which of the following results in thirst
1. Cardiac failure
2. Decreased plasma levels of angiotensin II
3. Distension of the cardiac atria
4. Distension of the stomach

Correct answer: 1. Cardiac failure

Explanation: Control of ThirstIncrease thirstDecrease thirst| Plasma osmolarity| Plasma osmolarity| Blood volume| Blood volume| Blood pressure| Blood pressure| Angiotensin II| Angiotensin IIDry mouthGastric distentionRef: Guyton; 13th edition; Chapter 29; Urine Concentration and Dilution